A 26-year old primipara at term gestation with labour pains presents with cervical dilation 3 cm, 60% effacement, Meconium stained liquor & decreased fetal heart rate: management is...
1. Oxytocin drip to accelerate labour pains
2. IV drotaverine to improve cervical dilatation
3. Attempt a Vaccum delivery
4. Start oxygen and shift to OT for emergency LSCS

Correct answer: 4. Start oxygen and shift to OT for emergency LSCS

Explanation: Fetal heart rate lesser than 110 is fetal distress and after the initial resuscitation the best management is Cesarean section. Fetal distress is the commonest cause of Cesarean section in modern obstetrics. Also, 'meconium in the liquor' indicates present or recent fetal strain. If the fetal heart rate is reassuring and patient is likely to deliver soon, then we can do amnio-infusion to dilute the meconium in the liqour with strict fetal monitoring and expedite delivery. Here since the patient is only 3 cm dilated and delivery is not imminent, it is advisable to perform an emergency LSCS, this reduces the chances of 'Meconium aspiration syndrome " of the new born which can lead to pnemonitis in the fetus and secondarily hypoxic injury to the brain.